Severe hypothermia characterized by all the following EXCEPT-
1. J waves in ECG
2. Tachycardia
3. Hypotension
4. Dysrhythmias

Correct answer: 2. Tachycardia

Explanation: Hypothermia is defined as a body core temperature below 35.0 degC (95.0 degF) in humans.Symptoms depend on the temperature.In mild hypothermia there is shivering and mental confusion In moderate hypothermia shivering stops and confusion increasesIn severe hypothermia, there may be paradoxical undressing, in which a person removes their clothing, as well as an increased risk of the heart stopping Hypothermia has two main types of causes. It classically occurs from exposure to extreme cold. It may also occur from any condition that decreases heat production or increases heat loss. Commonly this includes alcohol intoxication but may also include low blood sugar, anorexia, and advanced age.Body temperature is usually maintained near a constant level of 36.5-37.5 degC (97.7-99.5 degF) through thermoregulation. Efforts to increase body temperature involve shivering, increased voluntary activity, and putting on warmer clothing. Hypothermia may be diagnosed based on either a person's symptoms in the presence of risk factors or by measuring a person's core temperature. The treatment of mild hypothermia involves warm drinks, warm clothing, and physical activity. In those with moderate hypothermia, heating blankets and warmed intravenous fluids are recommended. People with moderate or severe hypothermia should be moved gently. In severe hypothermia, extracorporeal membrane oxygenation (ECMO) or cardiopulmonary bypass may be useful. In those without a pulse, cardiopulmonary resuscitation (CPR) is indicated along with the above measures. Rewarming is typically continued until a person's temperature is greater than 32 degC (90 degF). If there is no improvement at this point or the blood potassium level is greater than 12 mmol/liter at any time, resuscitation may be discontinued As the temperature decreases, further physiological systems falter and heart rate, respiratory rate, and blood pressure all decrease. This results in an expected heart rate in the 30s at a temperature of 28 degC (82 degF). There is often no shivering, cold, inflamed skin, hallucinations, lack of reflexes, fixed dilated pupils, low blood pressure, and pulmonary edema. Pulse and respiration rates decrease significantly, but fast heart rates (ventricular tachycardia, atrial fibrillation) can also occur. Atrial fibrillation is not typically a concern in and of itself Ref Davidson 23rd edtion pg 1218